Radiation is most commonly associated with the following thyroid cancer?
1. Papillary
2. Follicular
3. Medullary
4. Anaplastic

Correct answer: 1. Papillary

Explanation: Ans. is 'a' i.e., Papillary o Radiation induced thyroid carcinoma is papillary carcinoma.o Orphan Annie eye nuclei is characteristic of: Papillary thyroid carcinomao Most common thyroid carcinoma: Papillary carcinomao Post radiation thyroid carcinoma: Papillary carcinomao Thyroid carcinoma arising in thyroglossal cyst: Papillary carcinomao Hurthle cell carcinoma is a variant of: Follicular carcinoma.o Hurthle cells are seen in: Folliculr carcinoma, follicular adenoma, Hashmoto thyroiditiso Follicular carcinoma is differentiated from follicular adenoma by: Capsular invasion or vascular invasiono FNAC is not diagnostic in thyroid carcinoma of: Follicular typeo Medullary thyroid carcinoma secretes: Calcitonin.o Thyroid carcinoma associated with amyloid deposition (amyloid stroma): Medullary thyroid carcinomao Gene involved in medullary thyroid carcinoma: RET protooncogene.